false fixed firm beleif that the patient has subjectie ceainity is called as
1. hallucination
2. delusion
3. depresonalization
4. derealization

Correct answer: 2. delusion

Explanation: * DELUSION - * false fixed firm belief, * subjective ceainity, * compelling counterargument, * impervious to other experiences and * outside socio cultural and educational background it is a disorder of THOUGHT CONTENT Ref.Kaplon and sadock, synopsis of psychiatry, 11 th edition, pg. 195